Definition of bronchial asthma
1. Allergic inflammation of the nasal airways
2. Inflammation of the bronchial tubes with excess mucus production
3. Chronic inflammation with airway hyperactivity
4. Inflammatory condition that effects alveoli

Correct answer: 3. Chronic inflammation with airway hyperactivity

Explanation: (C) Chronic inflammtion with airway hyperactivity# BRONCHIAL ASTHMA is a chronic, inflammatory disease of the respiratory tract, which is characterized by bronchial hyper- reactivity and respiratory obstruction. Allergic rhinitis is an allergic inflammation of the nasal airways.> Chronic bronchitis is one type of COPD (chronic obstructive pulmonary disease). The inflamed bronchi produce a lot of mucus.> Pneumonia is an inflammatory condition of the lung affecting primarily the microscopic air sacs known as alveoli. It is usually caused by infection with viruses or bacteria.